Loss of insight is seen
1. Hysteria
2. Anxiety
3. OCN
4. Schizophrenia

Correct answer: 4. Schizophrenia

Explanation: D i.e. Schizophrenia